Internal sphincterotomy is the treatment of choice for -
1. Piles
2. Fistula
3. Fissure-in-ano
4. Carcinoma

Correct answer: 3. Fissure-in-ano